Which of the following muscle is pierced by the needle while giving an IANB:
1. Medial pterygoid
2. Buccinator
3. Temporalis
4. Superior constrictor

Correct answer: 2. Buccinator